Which of the following has fibromuscular stroma ?
1. Testis
2. Liver
3. Prostate
4. Urinary bladder

Correct answer: 3. Prostate

Explanation: The prostatic part of the urethra develops from the pelvic (middle) part of the urogenital sinus (endodermal origin). Endodermal outgrowths arise from the prostatic part of the urethra and grow into the surrounding mesenchyme. The glandular epithelium of the prostate differentiates from these endodermal cells, and the associated mesenchyme differentiates into the dense stroma and the smooth muscle of the prostate. ref - BDC vol2 pg 376-378